Of the following in which condition local anesthesia is ineffective?
1. Edema
2. Localized infection
3. Hematoma
4. Anemia

Correct answer: 2. Localized infection